A 5-year-old boy having dinner suddenly becomes a phonic and is brought to casuality for the complaint of respiratory difficulty. What is the most appropriate management?
1. Cricothyroidotomy
2. Tracheostomy
3. Humdifier
4. Heimlich maneuver

Correct answer: 4. Heimlich maneuver

Explanation: Emergency Physicians- 6th/ed pp 68,69 Aphonia (inability to speak) and sudden respiratory distress in a young boy while having food, suggests obstruction of the airway with a large bolus of food. Heimlich's maneuver is the recommended, initial procedure of choice for relieving airway obstruction due to solid objects. Cricothyroidotomy or tracheostomy should be performed if the Heimlich's maneuver fails